Twin wire appliance is a
1. Fixed appliance
2. Removable appliance
3. Functional appliance
4. Sectional fixed appliance

Correct answer: 1. Fixed appliance